A 6-month-child presents with episodes of vomiting after ingesting fruit juice. Which of following enzyme deficiency is likely?
1. Aldolase
2. Fructokinase
3. Glucose 6-phosphatase
4. Hexokinase

Correct answer: 1. Aldolase

Explanation: a. Aldolase B(Ref: Nelson's 20/e p 720-728, Ghai 8/e p 655-657)In the given scenario, the child becomes symptomatic after ingesting fruit juice, which is often sweet, containing sucrose and hence, glucose and fructose. So, he is suffering from Hereditary Fructose intolerance.